The following tests are used to check the efficiency of pasteurization of mild except -
1. Phosphatase test
2. Standard plate count
3. Coliform count
4. Methylene blue test

Correct answer: 4. Methylene blue test

Explanation: Ans is 'd' i.e., Methylene blue test `Methylene blue Reduction test' is an indirect test Jar detection of microorganism in milk. It is carried out on milk prior to the process of pasterurization and is not used to check the efficiency of pasteruization.